An investigator wants to study the association between maternal intake of iron supplements (Yes or No) and incidence of low birth weight (< 2500 or 2500 gms). He collects relevant data form 100 pregnant women as to the status of usage of iron supplements and the status of low birth weight in their newborns. The appropriate statistical test of hypothesis advised in this situation is ?
1. Paired-t-test
2. Unpaired or independent t-test
3. Analysis of variance
4. Chi-Square test

Correct answer: 4. Chi-Square test

Explanation: Ans. is 'd' i.e., Chi-square test Dont get confuse with previous question with this one. o Both are different . Read below. In previous question the attribute used was birth weights of newborn babies, which is a quantitative data (each newborn has a particular birth weight from a continuous spectrum of weight) --> the answer in that question was student t-test (unpaired or independent). o In this question the attribute used is low birth weight. On the basis of low birth weight newborns can be divided into two groups : - i) Being a LBW ii) Not being a LBW So, It is a qualitative data and the test used should be Chi-square test.